A bruise becomes yellow on:
1. 2-3days
2. 5 - 6 days
3. 7 - 12 days
4. After 2 weeks

Correct answer: 3. 7 - 12 days

Explanation: Ans: c (7 - 12 days) Ref: Reddy, 27th ed, p. 164Bruise appears yellow on 7 - 12 days.Various colour changes of Bruise (contusion)Fresh-Red-Due to Hemoglobin.1st day-Blue-Deoxy Hemosiderin.2-4 days-Dark blue-Haemosiderin5-6 days-Green-Haemotoidin.7-12 days-Yellow-Billirubin.After 14 days-Return to normal. Appearace of scabFresh abrasion-Red12-24 hrs- Red scab2-3 days4-7 days- Brown scab-Scab falls off10 days- Healing completeStudy this very carefully because a number of questions has already been asked from these 2 tables in All India PGME.